Which of the follwing statements about Pancreatic Carcinoma is not true
1. Mutation in P53 gene is associated in 75% of cases
2. Hereditary Pancreatitis significantly increases the risk
3. Median survival in locally advanced (stage III) disease is 3-6 months
4. Five year survival after curative pancreatico duodenectomy is 15-20%

Correct answer: 3. Median survival in locally advanced (stage III) disease is 3-6 months

Explanation: .Carcinoma pancreas is higher in men. It is common in African American males. 80% of pancreatic cancers are metastatic at the time of first diagnosis. It is common in Jewish heritage and native Hawaiians. Its incidence is 9 new cases per 100000 people. Mean age is 60-65 years. Etiology- * Smoking *High energy diet rich in fat. * Chronic pancreatitis. * Familial pancreatitis. * Diabetes mellitus. * Carcinogens like benzidine. * Hemochromatosis with pancreatic calcification. * Cirrhosis, obesity. * Occupational exposure to carcinogens like DDT,benzidine. * Peutz - Jegher syndrome, HNCC (Hereditary Non polyposis Colonic Cancer - Lynch II type), ataxia telangiectasia, hereditary breast and ovarian cancers, hereditary atypical multiple mole melanoma syndrome. ref:SRB'S manual of surgery,ed 3,pg no 630